Kleptomania/pyromania is a:
1. Conduct disorder
2. Impulse disorder
3. Personality disorder
4. Conversion disorder

Correct answer: 2. Impulse disorder

Explanation: Ans. Impulse disorder